Cells occurring in greatest number in pulp are
1. Cementoblasts
2. Fibroblasts
3. Osteoblasts
4. Ameloblasts

Correct answer: 2. Fibroblasts